Legionella causes -
1. Pontaic fever
2. Myocarditis
3. Diarrhea
4. All of the above

Correct answer: 4. All of the above

Explanation: Ans. is 'd' i.e., All of the above Legionella infectiono Legionella causes following infections :A) Pulmonary infections# There are two types of pulmonary infections :-1. Pontiac fever: It is self limiting flu-like illness with incubatium period of 24-48 hours. There is no pneumonia.2. Legionnaire's disease: It is an atypical pneumonia with incubation period of 2-10 days. It is characterized by cough, chest pain, hemoptysis, high grade fever, diarrhea, confusion, 'relative' bradycardia and hyponatremia. If onset of symptoms occur within 10 days of discharge from the hospital, nosocomial legionnaire's disease should be suspected.B) Extrapulmonary infections# Most common site of infection is heart (myocarditis/pericarditis/endocarditis).